True regarding indirect inguinal hernia are all except:
1. Most common type of hernia
2. Always unilateral
3. Inguinal herniotomy is the basic operation
4. Transillumination distinguishes it from hydrocele

Correct answer: 2. Always unilateral

Explanation: Ans. (b) Always unilateral* In adults- 12 % cases are bilateral hernias* Transillumination is positive in hydrocele and negative in Hernia